Treatment of phlyctenular conjunctivitis is?
1. Systemic steroids
2. Topical steroids
3. Antibiotics
4. Miotics

Correct answer: 2. Topical steroids

Explanation: ANSWER: (B) Topical steroidsREF: Parson's 20th ed p. 173Treatment of phlyctenular keratoconjuctivit is:Topical steroids are drugs of choiceTopical antibiotics and atropine are used when cornea is involved Phlyctenular conjunctivitis:Delayed type IV hypersensitivity response to endogenousstaphylococcus proteins ( most common )tuberculous proteinsmoraxella and worm infestationusually unilateral, more common in girlsItching is most common symptomPhlycten or nodule near limbus is seen , pinkish, ulcerates at apexMiliary, ring, fascicular, sacrofulous ulcers are seenRemember spring catarrh is type I hypersensitivity to exogenous proteins like pollens and it is more common in boys.